Which of the following does not present antigens:
1. NK cells
2. Dendritic cells
3. Langerhans cells
4. Macrophages

Correct answer: 1. NK cells

Explanation: APC (Antigen-presenting cell): 

Most common APC → Immature dendritic cell.
The most potent stimulator of native T cell → Mature dendritic cell.
APCs are – Dendritic cells, Langerhan’s cells, B-cell.